All are causes of granulomatous diseases of liver:
1. Wegeners granulomatosis
2. Hodgkins disease
3. Beryllium
4. Dengue fever-

Correct answer: 4. Dengue fever-

Explanation: Granulomatous diseases of the liver caused by 1.Infections Tuberculosis, Mycobacterium avium complex infection , leprosy, brucellosis, Q fever, syphilis, fungal diseases, parasitic diseases, and mononucleosis 2.Toxins Beryllium, quinidine, allopurinol, and sulfonamides 3.Systemic disorders Sarcoidosis, lymphoma (in particular, Hodgkin's disease), and Wegener's granulomatosis The most common that produce jaundice are tuberculosis and sarcoidosis Ref: Sleisenger and Fordtran's, E-9, P-327